Magenta coloured tongue is seen in deficiency of
1. Niacin
2. Riboflavin
3. Vitamin B12
4. All of the above

Correct answer: 2. Riboflavin